Excessive sexual desire in female?
1. Nymphomania
2. Satyriasis
3. Frigidity
4. Fetishism

Correct answer: 1. Nymphomania

Explanation: Ans. is 'a' i.e. Nymphomania o Nymphomania is excessive sexual desire in female where she enjoys having multiple sexual partners or desires excessive sexual activity.o The male-specific term for the same condition is satyriasis.o Fetishism means the use of objects for sexual gratification leading to orgasm. For example underclothing, brassiere, petticoat, stocking, shoes, etc.o Frigidity is inability to initiate sexual arousal in female.